Use of Valproate during pregnancy may cause :
1. Neural tube defect
2. Hydantoin syndrome
3. Respiratory depression
4. Intellectual disability

Correct answer: 1. Neural tube defect

Explanation: Neural tube defect